Bronchiectasis means .....................of bronchi -
1. Inflammation
2. Dilatation
3. Cavitation
4. All

Correct answer: 2. Dilatation

Explanation: Ref:Textbook of pathology (Harsh mohan)6th edition, page no.484 BRONCHIECTASIS Bronchiectasis is defined as abnormal and irreversible dilatation of the bronchi and bronchioles (greater than 2 mm in diameter) developing secondary to inflammatory weakening of the bronchial walls. The most characteristic clinical manifestation of bronchiectasis is persistent cough with expectoration of copious amounts of foul-smelling, purulent sputum. Post-infectious cases commonly develop in childhood and in early adult life.